Transition from G2 to M phase of the cell cycle is controlled by:
1. Retinoblastoma gene product
2. p53 protein
3. Cyclin E
4. Cyclin B

Correct answer: 4. Cyclin B